Streptococcus mutans produces an adhesive poLymer from sucrose, known as
1. Levans
2. Lectins
3. Glucans
4. Polyfructans

Correct answer: 3. Glucans